Drug causing megaloblastic anemia is :
1. INH
2. Chloramphenicol
3. Pyrimethamine
4. Methyldopa

Correct answer: 3. Pyrimethamine